Occipitofrontal is muscle is present in which layer of scalp:
1. Aponeurotic layer
2. Subaponeurotic layer
3. Dense connective tissue layer
4. Loose connective tissue layer

Correct answer: 1. Aponeurotic layer

Explanation: Ans. A. Aponeurotic layerThe term scalp is applied to the soft tissues covering the vault of skull. It extends anteriorly up to the eyebrows (superciliary arches), posteriorly up to the superior nuchal lines, and laterally on each side up to superior temporal line. The scalp consists of five layers. From superficial to deep these are as follows:1. Skin. 2. Connective tissue (superficial fascia). 3. Aponeurosis (occipitofrontal is muscle and its aponeurosis). 4. Loose areolar tissue. 5. Pericranium.